Medulla receives its blood supply from all of the following arteries except:
1. Anterior spinal artery
2. Posterior inferior cerebellar artery
3. Vertebral artery
4. Superior cerebellar artery

Correct answer: 4. Superior cerebellar artery

Explanation: Medulla Blood supply: 1. Anterior spinal artery - Supplies whole medial part of medulla oblongata. 2. Posterior inferior cerebellar artery - Branch of vertebral artery supplies posterolateral part of medulla. 3. Direct branches of vertebral artery.